Besides 3 D’s (Diarrhoea, Dermatitis & Dementi(a) of Niacin deficiency, 4th D indicates
1. Death
2. Destruction
3. Debilitating
4. Disability

Correct answer: 1. Death